What will be the effect on respiration if a transmission is made between the pons & medulla
1. Apnoea
2. Irregular & gasping
3. No effect
4. Slow & deep

Correct answer: 2. Irregular & gasping

Explanation: B i.e. Irregular and gasping The main component of respiratory control pattern generator responsible for automatic respiration are located in the medulla. After transection of brain stem at inferior border of pons spontaneous respiration continues, albeit somewhat irregular and gasping.Q Whereas, transection at mid (upper) pons leads to slow and deep breathing() (vagi intact) or apneustic breathing (or prolonged respiratory spasm) Q, when vagi are also cut.